Shortest acting benzodiazepine is?
1. Flurazepam
2. Alprazolam
3. Triazolam
4. Diazepam

Correct answer: 3. Triazolam

Explanation: Ans. is 'c' i.e., Triazolam orT Midazolam (slightly shorter acting than triazolam) and triazolam are shortest acting BZDs.